All are true regarding Reinke's oedema except
1. Usually caused by vocal abuse
2. There is collection of oedema fluid in the subepithelial space
3. There is asymmetrical swelling of vocal cords
4. Vocal cord stripping is the treatment

Correct answer: 3. There is asymmetrical swelling of vocal cords

Explanation: Reinke's oedema - diffuse symmetrical swelling of both vocal cords Reinke's oedema is caused by vocal abuse or smoking. There is diffuse symmetrical swelling of both vocal cords. Vocal cord stripping is the treatment of choice. Enough mucosa should be preserved for epithelialization. Ref : Diseases of ENT by Dhingra 6th edition Pgno : 304